For a menopausal patient having hot flashes, which of the following can be given as treatment?
1. Ethinyl estradiol
2. Progesterone
3. Gonadotropin
4. Danazol

Correct answer: 1. Ethinyl estradiol

Explanation: Menopause Basic problem in menopause is due to decreased estrogen level Hence replacing estrogen ,i.e, H is the mainstay of therapy in menopause (DOC) - Management of vasomotor symptoms - 1. Clonidine 2. SSRI (selective serotonin reuptake inhibitor) - fluoxetine If female uterus is intact - give Estrogen & progesterone If female uterus is removed - give only Estrogen